In a patient with fulminant liver failure after viral hepatitis, which of the following will not change immediately?
1. Serum albumin
2. PT
3. Serum bilirubin
4. Serum ammonia

Correct answer: 1. Serum albumin

Explanation: Serum albumin has a half-life of 21 days and levels may be normal in fulminant hepatic failure and will take time to fall.